All are included in picorna group of viruses except -
1. Encephalo myocarditis
2. HEV
3. Foot and mouth virus
4. Poliovirus

Correct answer: 2. HEV

Explanation: Picornaviruses genera of veterinary importance are aphthovirus, which causes foot and mouth disease cattle, and cardiovirus of mice, including encephalomyocarditis REF:ANANTHANARYANAN TEXTBOOK OF MICROBIOLOGY 9EDITION PGNO.484